Loss of lateral 1/3rd of eyebrow is seen in -
1. Lepromatous leprosy
2. Taenia capitis
3. Tuberculosis
4. Tetanus

Correct answer: 1. Lepromatous leprosy